A 34 years old man with a long history of asthma is referred to a pulmonologist. The physician decides to prescribe zileuton. The mechanism of action of this drug is to :
1. Antagonize leukotriene D4 receptor
2. Inhibits 5–lipoxygenase
3. Inhibit phosphodiesterases
4. Stimulate β2 receptors

Correct answer: 2. Inhibits 5–lipoxygenase